All are B cell marker except -
1. CD-15
2. CD-19
3. CD-21
4. CD-23

Correct answer: 1. CD-15

Explanation: Ans. is 'a' i.e., CD-15